An IQ between 50 & 70 would be classified as what kind intellectual disability –
1. Mild
2. Moderate
3. Severe
4. Borderline

Correct answer: 1. Mild

Explanation: The WHO classification of intellectual disability is based on the concept of IQ and includes the following categories: